Gynaecomastia is an adverse effect of all of the following drugs except :
1. Spironolactone
2. Finasteride
3. Cortisol
4. Cimetidine

Correct answer: 3. Cortisol